Pancoast tumor is?
1. Superior sulcus tumor
2. Inferior sulcus tumor
3. Median sulcus tumor
4. None of the above

Correct answer: 1. Superior sulcus tumor

Explanation: Ans. is 'a' i.e., Superior sulcus tumor Pancoast tumor (pulmonary sulcus tumor or superior sulcus tumorlo It is a tumor of the pulmonary apex typically found in conjunction with a smoking history. It is situated at the top end of either the right or left lung.o Most Pancoast tumors are non-small cell cancers i.e. squamous cell carcinomas (SCCs) or adenocarcinomaso It typically spreads to nearby tissues such as the ribs and vertebrae. The growing tumor can cause compression of a brachiocephalic vein, subclavian artery, phrenic nerve, recurrent laryngeal nerve, vagus nerveo Compression of a sympathetic ganglion resulting in a range of symptoms known as Horner's syndrome (ptosis, miosis, hemianhidrosis, enophthalmos).